Name the enzyme which catalyses substrate level phosphorylation in glycolysis -
1. Glyceraldehyde 3 phosphate dehydrogenase
2. Enolase
3. Pyruvate kinase
4. Phosphofuctokinase I

Correct answer: 3. Pyruvate kinase

Explanation: Ans. is 'c' i.e., Pyruvate kinase* In substrate level phosphorylation, at the level of substrate itself energy that is liberated is trapped in the form of ATP. To make it simple, in a chemical freaction, if a substrate is converted into products and simultaneously, ADP is converted into ATP, it is considered as substrate level phosphorylation. There are four substrate level phosphorylation steps in human metabolism